Orange coloured urine is due to:
1. Rifampicin
2. INH
3. Pyrazinamide
4. Ethambutol

Correct answer: 1. Rifampicin

Explanation: The urine and the secretions of the patients receiving Rifampicin becomes orange-red and it is harmless. Such a side effect is not encountered with the other three anti-tubercular drugs mentioned as choices. Ref: K D Tripathi Textbook of Pharmacology, 5th Edition, Pages 698-701